Which of the following statements is FALSE regarding haemochromatosis?
1. Prone to fatal Vibrio enteric infections
2. Prone to fatal Yersinia enteric infections
3. Should avoid raw fish
4. Prone to Mycobacterium enteric infections

Correct answer: 4. Prone to Mycobacterium enteric infections

Explanation: Persons with hemochromatosis are especially prone to invasive, even fatal, enteric infections with Vibrio species and Yersinia infections and should avoid raw fish. Ref: Camilleri M., Murray J.A. (2012). Chapter 40. Diarrhea and Constipation. In D.L. Longo, A.S. Fauci, D.L. Kasper, S.L. Hauser, J.L. Jameson, J. Loscalzo (Eds), Harrison's Principles of Internal Medicine, 18e.